In a preschool child, early carious involvement of the
maxillary anterior teeth, maxillary and mandibular first
primary molars and mandibular canines is called
1. Dental caries
2. Feeding caries
3. Milk caries
4. Nursing caries

Correct answer: 4. Nursing caries